Bell clapper testis predisposes to:
1. Torsion testis
2. Varicocele
3. Cancer of testis
4. Hydrocele

Correct answer: 1. Torsion testis

Explanation: Testicular torsion is a condition in which testicle twists in such a way that the blood supply is compromised. Abnormalities which lead to torsion of the testis: 1. High investment of tunica vaginalis causing the testis to hang within the tunica like a clapper in the bell bilaterally. 2. Inversion of the testis. 3. Separation of the epididymis from the pedicle that connects the testis.